Most common primary tumor of heart?
1. Myxoma
2. Rhabdomyosarcoma
3. Fibroma
4. Leiomyosarcoma

Correct answer: 1. Myxoma

Explanation: Primary cardiac tumors are uncommon moreover, most also are benign. The descending order of frequency , these are myxomas, fibromas, lipomas, papillary fibroelastomas,rhabdomyomas Myxomas are the most common primary tumor of the adult heart. Robbins 9 th edition page no. 404